Highest frequency of BER is seen in which of the following?
1. Stomach
2. Duodenum
3. Jejunum
4. Ileum

Correct answer: 2. Duodenum

Explanation: BER - Basal electrical rhythm is the frequency of the electrical activity (slow waves) in the digestive tract. Stomach = 3-4/min., Duodenum = 12/min, jejunum = 9/min, ileum = 7/min.